True regarding lag phase is?
1. Time taken to adpt in the new environment
2. Growth occurs exponentially
3. The plateau in lag phase is due to cell death
4. It is the 2nd phase in bacterial growth curve

Correct answer: 1. Time taken to adpt in the new environment

Explanation: Lag phase: Immediately following the seeding of a culture medium, there is no appreciable number, though there may be an increase in the size of the cells. This initial period is the time required for the adaptation to the new environment, during which the necessary enzymes and metabolic intermediates are built up in adequate quantities for multiplication to proceed. The duration of the lag phase varies with the species, sizes of the inoculation, nature of the culture media and the environmental factors such as temperature REF:Ananthanarayan & Panicker's Textbook of Microbiology 8th edition pg no: 24